First enzyme to be raised in Ml is -
1. CPK-MB
2. LDH
3. Myoglobin
4. Troponin-I

Correct answer: 3. Myoglobin

Explanation: Ans. is 'c' i.e., Myoglobino Myoglobin is released more rapidly from infarcted myocardium than troponin and CPK-MB and may be detected as early as 2 hours after an acute MI.VARIOUS ENZYMES IN MYOCARDIAL INFARCTIONEnzymeSeen atPeaks atReturns toNormal Other features 1.Very sensitive less specific(also increase inskeletal muscle injury)1. Creatinine2-4hrs*24 hr*48-72 hr*2.CPK MB isoenzyme increases the specificityphosphokinase 3."Absence in change in levels of CPK and CPKIVIB during the 1st 2 days essentiallyexcludes the diagnosis of MI "2. Lactate24 hr4-5 daysAfter1.Previously used, not used now a daysdehydrogenase 10 days*2.Not specific 3.Measurement of LDH level increasesspecificity3. AST orSGOTWithin12hr48 hrs4-5 days*1.Not specific 1.Now the preferred biochemical markersof myocardial infarction4. Troponin I orWithin48 hrsAfter2.Sensitivity similar to creatine phospho kinaseTroponin T2 - 4 hrs* 7-10 days but they are more specific. 3Not normally detectable in serum,increases only after MI One ofthe I" 5. Myoglobinmarkersto incr?easeafterMl* 24 hr* These are not specific for MI